Common cause of obstructive lung disease is
1. Smoking
2. Air pollution
3. Genetic
4. Occupational

Correct answer: 1. Smoking

Explanation: (A) Smoking > Air pollution, airway infection, familial factors, and allergy have also been implicated in chronic bronchitis, and hereditary factors (deficiency of a 1-antiprotease) have been implicated in emphysema.> The pathogenesis of emphysema may involve excessive lysis of elastin and other structural proteins in the lung matrix by elastase and other proteases derived from lung neutrophils, macrophages, and mononuclear cells.> Atopy and the tendency for bronchoconstriction to develop in response to nonspecific airway stimuli may be important risks for COPD.